Composite placement should be done after how many days of bleaching:
1. 1 hour.
2. 24hours.
3. 1week.
4. 1month.

Correct answer: 3. 1week.

Explanation: In bleached tooth minimum waiting time before composite placement = 1 to 2 week
In bleached tooth minimum waiting time in extensive composite restoration & long bleaching cases = 6 weeks